Which proximal box should be given preference if the adjacent tooth proximal box are similar in size.
1. Prepare posterior First
2. Prepare anterior First
3. Any one can be prepared First
4. Both should be prepared simultaneously

Correct answer: 1. Prepare posterior First